The pathogenicity of major pseudomonads is based on oppuunism. The exception is:
1. Pneumonia
2. Otitis media
3. Melioidosis
4. Skin infection

Correct answer: 3. Melioidosis

Explanation: The pseudomonads are a heterogeneous group of gram-negative bacteria. The members of this group are now assigned to three genera-Pseudomonas, Burkholderia, and Stenotrophomonas. The pathogenicity of most pseudomonads is based on oppounism; the exceptions are the organisms that cause melioidosis (B. pseudomallei) and glanders (B. mallei) Ref: Harisson, Edition - 18, Page 1151.